Infection in renal transplant patient is usually caused by ?
1. CMV
2. HIV
3. Herpes
4. Salmonella

Correct answer: 1. CMV

Explanation: Ans. is 'a' i.e., CMV